A man is stucked with lathi on lateral aspect of head of fibula. Which of the following feature(s) can occur as a result of nerve injury:
1. Loss of sensation along lateral border of foot
2. Loss of sensation of adjacent sides of 1st & 2nd toe
3. Inversion inability
4. All

Correct answer: 2. Loss of sensation of adjacent sides of 1st & 2nd toe

Explanation: B i.e. Loss of sensation of adjacent sides of 1st & 2nd toe